Ligament supporting the talus is
1. Spring ligament
2. Deltoid ligament
3. Calcaneocuboid ligament
4. Cervical ligament

Correct answer: 1. Spring ligament

Explanation: SPRING LIGAMENT:- Also known as plantar calcaneonavicular ligament.Attachments-Anteriorly:plantar surface of navicular bone.Posteriorly: anterior margin of sustentaculum tali. Head of talus directly rests on upper surface of the ligament. The plantar surface of the ligament is supported by tendon of tibialis posterior medially,and by tendons of flexor hallucis longus and flexor digitorum longus laterally.Most important ligament for maintaining the medial longitudinal arch of foot. {Reference: BDC 6E}